Septum transversum develops from -
1. Paraxial mesoderm
2. Intermediate mesoderm
3. Medial plate mesoderm
4. Lateral plate mesoderm

Correct answer: 4. Lateral plate mesoderm

Explanation: Ans. is 'd' i.e., Lateral plate mesoderm o Mesoderm is divided into three parts1. Paraxial mesoderm:# It is organized into somites which in turn gives rise toi) Sclerotomes: Form axial skeleton including vertebrae, ribs and parts of neurocranium.ii) Myotomes: Form all voluntary (skeletal) muscles of head, trunk and limbs.iii) Dermatomes: Form dermis of skin, especially over dorsal regions.2. Intermediate mesoderm:# It gives rise to major portion of urogeninal systemi) Urinary organs: Kidney, ureters, trigone of bladder, posterior wall female urethra, posterior wall of upper half of prostatic part of male urethra, inner glandular zone of prostate.ii) Reproductive organs: Gonads (testis and ovary), epididymis, ducts deferens, seminal vesicle, ejaculatory duct, uterus, uterine tube and upper part of vagina.3. Lateral plate mesoderm :# It formsi) Somatopleuric mesoderm (parietal layer)ii) Splanchnopleuric mesoderm (visceral layer)iii) Spetum transversumiv) Angiogenic mesoderm